Which of the following is not a paraphilia?
1. Fetishism
2. Paedophilia
3. Adultery
4. Necrophilia

Correct answer: 3. Adultery

Explanation: Adultery, rape and incest are classified as natural sexual offences. Buccal coitus and bestiality are unnatural sexual offences. Sadism, masochism, voyeurism, transvestism and exhibitionism are paraphilias. Ref: Textbook of Forensic Medicine and Toxicology by V.V Pillay, 15th Edition, Page 361.